Which of the following is not an accepted method of randomization?
1. Computer drawn
2. Odd/even drawn
3. Lottery
4. Random number table

Correct answer: 2. Odd/even drawn

Explanation: Randomization is a statistical procedure by which the participants are allocated into groups usually called 'control' and 'study', to receive or not to receive an experimental, preventive or therapeutic procedure manoeuvre or intervention. Ref: 25th edition, Park's Textbook of Preventive and Social Medicine, Page no. 90